Drug containing two sulfhydryl groups in a molecule?
1. BAL
2. EDTA
3. Pencillamine
4. None of the above

Correct answer: 1. BAL

Explanation: Ans. is 'a' i.e., BAL o Dimercaprol (British Anti-Lewisite, BAL) contains two sulfahydryl groups. Note - Penicillamine has one SH group.